Ventricular muscle receives impulses directly from the
1. Purkinje system
2. Bundle of HIS
3. Right and Left bundle branches
4. AV node

Correct answer: 1. Purkinje system